Corneal transparency is maintained by:
1. Bowman's membrane
2. Endothelium
3. Keratocytes
4. Descemet's membrane

Correct answer: 2. Endothelium

Explanation: The primary mechanism controlling stromal hydration is a function of the corneal endothelium which actively pumps out theelectrolytes and water flows out passively. Endothelium consists of a single layer of flat polygonal (mainly hexagonal) epithelial cells (misnamed as endothelium) which on slit-lamp biomicroscopy appear as a mosaic.